All of the following may be used to differentiate Central Retinal Venous Occlusion (CRVO) from Ocular Ischemic Syndrome due to Carotid Artery Stenosis, Except:
1. Dilated Retinal Vein
2. Tortuous Retinal Vein
3. Retinal Artery Pressure
4. Opthalmodynamometry

Correct answer: 1. Dilated Retinal Vein

Explanation: A i.e. Dilated Retinal Vein Central Retinal Vein Occlusion and Ocular Ischemic Syndrome due to carotid artery stenosis are both associated with dilated retinal veins and hence this feature cannot be used to distinguish these conditions. However, ophthalmic artery pressure (measured by ophthalmo dynamometry) and retinal artery pressure is usually normal in CRVO and decreased (low) in carotid artery obstruction. And to differentiate both conditions other features include presence of swollen optic disc & tortuous retinal veins in CRVOQ. Ophthalmodynamometry is a non invasive method of estimating ophthalmic artery pressure. Features Ocular Ishemic Syndrome (Carotid Artery Obstruction) CRVO (Non Ischaemic) (Central Retinal Vein Obstruction) Definition Ocular Ischemic Syndrome is a condition with variable spectrum of sign and symptoms resulting from chronic ocular hypoperfusion usually secondary to severe carotid artery obstruction. Pathogenesis of this syndrome is decreased arterial inflow on a chronic basis CRVO is an ocular syndromes with ocular signs and symptoms resulting from an occlusion of the central retinal vein - Ischemic : Complete obstruction (20? 25% of cases) - Non ischaemic : Incomplete obstruction (70-75% of cases) Laterality Unilateral (80%) Unilateral Age (years) 50-80 50-80 Fundus signs Veins Dilated, nontortuous Dilated, tortuous Optic disc Normal Swollen Retinal artery perfusion pressure Decreased Normal Retinal hemorrhages Mild Mild to severe Microaneurysms Mid-periphery Variable Hard exhudates Absent unless in association with diabetes Rare Fluorescein Angiography Choroidal filling Delayed, patchy Normal Arteriovenous transit time Prolonged Prolonged Retinal vessel staining Prominent arterial staining Prominent venous staining Ophthalmodynamometry (non invasive) Ophthalmic artery pressure is usually lowQ Ophthalmic artery pressure is usually normal or elevated